Which of the following features cannot be used to differentiate between Hodgkin's and Non Hodgkin's Lymphoma ?
1. Extranodal involvement
2. Spread contiguity
3. Painless lymphadenopathy
4. Localisation to a particular group of lymph nodes

Correct answer: 3. Painless lymphadenopathy

Explanation: Hodgkin lymphoma, like NHL, usually manifests as painless lymphadenopathy.  Although a definitive distinction from NHL can be made only by examination of a tissue biopsy,  several clinical features favor the diagnosis of Hodgkin lymphoma. After the diagnosis is established, staging is used to guide therapy and determine prognosis.